In a splenectomized patient there is increase of infection by all the organisma except -
1. Pneumococci
2. Klebsiella
3. H.influnzae
4. Staph.aureus

Correct answer: 4. Staph.aureus

Explanation: Ans. is 'd' i.e., Staph aureus After splenectomy there is increased susceptibility to following infection. . Streptococcus pneumoniae . Gram negative enteric bacilli . H. influenzae . Babesia